Which extra-ocular muscle is supplied by opposite side nucleus?
1. Lateral rectus
2. Medial rectus
3. Superior rectus
4. Inferior rectus

Correct answer: 3. Superior rectus

Explanation: upward rotation or elevation:by superior rectus and inferior oblique downward rotation or depression:by inferior rectus and superior oblique lateral rotation or abduction :by lateral rectus,superior oblique and inferior oblique medial rotation or adduction:by medial rectus,superior rectus and inferior rectus intortion:by superior oblique and superior rectus extortion:by inferior oblique and inferior rectus Ref BDC volume 3,sixth edition pg 209